Regarding Sudeck's osteodystrophy all are true except:
1. Burning pain
2. Stiffness and swelling
3. Erythematous and cyanotic discolouration
4. Self limiting and good prognosis

Correct answer: 4. Self limiting and good prognosis

Explanation: (d) Self limiting and good prognosis- Recovery is prolonged and painful both for patient and surgeon. 3 years usually elapse before the bones are remineralized and it is rare that full range of movements returns.